Most dangerous pesticide color code given
1. Green
2. Yellow
3. Red
4. Black

Correct answer: 3. Red